What is the analysis of routine measurement aimed at detecting changes in the environment known as?
1. Monitoring
2. Surveillence
3. Isolation
4. RCT

Correct answer: 1. Monitoring

Explanation: Monitoring is the performance and analysis of routine measurements aimed at detecting changes in the environment or health status of the population. It also refers to the on-going measurement of performance of a health service or a health professional. Ref: Park's Textbook of Preventive and Social Medicine; 24th edition - Page no. 44